Sign of thyroid ophthalmopathy ?
1. Van Graefe's sign
2. Dalrymple's sign
3. Joffroy's sing
4. All of the above

Correct answer: 4. All of the above

Explanation: Ans. is 'd' i.e., All of the above Signs of thyroid ophthalmopathy are - Bilateral exophthalmos with associated exposure keratitis. Dalrymple's sign - There is peculiar stare due to retraction of the upper lid Von Graefe's sign - Upper lid lags on downward movments of the eyeball Stellwags sign - There is infrequent and incomplete blinking Mobius c sign - There is weakness of convergence Jellinek's sign - There is increased pigmentation of lids. Joffroy's sign - There is poor forehead wrinking on looking up Enroth's sign - Fullness of eyelids (Puffy edematous) Griffbrd's sign - Difficulty in eversion of upper lid.